Which of the following can cause secondary brain injury
1. Hypoxia
2. Intracranial pressure > 30mm Hg
3. Hypotension
4. All of the above

Correct answer: 4. All of the above

Explanation: Causes of secondary brain injury
- Hypoxia: PO2 < 8 kPa
- Hypotension: systolic blood pressure (SBP) < 90 mmHg
- Raised intracranial pressure (ICP): ICP > 20 mmHg
- Low cerebral perfusion pressure (CPP): CPP < 65 mmHg
- Pyrexia
- Seizures
- Metabolic disturbance